Erythromycin is given in decreased bowel motility because -
1. It increases bacterial count
2. It decreases bacterial count
3. It binds to adenyl cyclase
4. It binds to motilin receptors

Correct answer: 4. It binds to motilin receptors

Explanation: Ans is 'd' i.e., It binds to motilin receptors